Root of mesentery is crossed by
1. Left ureter
2. Aorta
3. 2nd part of duodenum
4. Left psoas major

Correct answer: 2. Aorta

Explanation: i.e. (Aorta): (2474-BDC-2 5thed)Root of mesentery is crossed by abdominal aortaROOT OF THE MESENTERY - is 15 cm long and is directed obliquely downwards and to the right. If extands from the duodenojejunal flexure on the left side of vertebra L2 to the upper part of the right sacroiliac jointsIt crosses the following1. The third part of the duodenum where the superior mesenteric vessels enter into it2. The abdominal aorta3. Inferior vena cava4. Right ureter5. Right psoas major* Commonest variation in the arteries arising from the arch of aorta is - Left common carotid artery arising from brachiocephalic trunk**